Left atrial hypertrophy is seen radiologically as:
1. Double cardiac silhoutte
2. Left bronchial elevation
3. Right ant. oblique view in barium swallow
4. All of the above

Correct answer: 4. All of the above

Explanation: Ans. All of the above